Which of the following diagnostic procedure is not done in dilated pupil?
1. Gonioscopy
2. Fundus examination
3. Laser inferometry
4. Electroretinography

Correct answer: 1. Gonioscopy

Explanation: Ans. a. Gonloscopy (Ref: Khurana5/e 578; Basics and Clinical Science Course, American Academy of Ophthalmology, 2012-13; Sec 10, p46)Gonioscopy is not done in a dilated pupil. (AllMS May 2014 repeat)Gonioscopy is done in dark room with minimum slit lamp light. Pupil contraction will falsely open up the angle. Likewise pupillary dilatation will cause crowding of the iris at angle and angle appears as closed.'By gonioscopy angle structures are assessed, especially relationship of root of iris and trabecular mesh work in normal physiological state. To avoid pupillary contraction, it is done in dark room with minimum slit lamp light.' - Basics and Clinical Science Course, American Academy of Ophthalmology, 2012-13; Sec 10, p46